Adenosine deaminase deficiency is seen in the following-
1. Common variable immunodeficiency.
2. Chronic granulomatous disease
3. Nezelof syndrome
4. Severe combined immunodeficiency

Correct answer: 4. Severe combined immunodeficiency